Portocaval encephalopathy is treated with
1. Lactulose
2. Large amount of amino acids
3. Emergency shunt surgery
4. Diuretics

Correct answer: 1. Lactulose

Explanation: Lactulose(15-30mL 3times daily) is increased until the bowels are moving twice daily. It produces an osmotic laxative effect, reduces the pH of the colonic content, thereby limiting the colonic ammonia absorption, and promotes the incorporation of nitrogen into bacteria. Reference :Davidson, 23rd Edition, page no : 865.'